Which of the following is NOT an alpha adrenoceptor agonist?
1. Clonidine
2. Methyldopa
3. Guanabenz
4. Guanfacine

Correct answer: 2. Methyldopa

Explanation: Ans. (B) Methyldopa(Ref: KDT 8th/e p612)Methyl dopa itself is not an a2 agonist but it is converted to an active metabolite a-methyl norepinephrine which possesses a2 agonistic action. All other drugs listed in the question are a2 agonists for the treatment of hypertension.